All are early complications of tracheostomy except
1. Hemorrhage
2. Pneumothorax
3. Injury to oesophagus
4. Tracheal stenosis

Correct answer: 4. Tracheal stenosis

Explanation: IMMEDIATE COMPLICATIONS: 1. Primary haemorrhage. Occurs at the time of operation. It can be controlled by pressure, ligation or electrocoagulation of the bleeding vessels. 2. Reactionary haemorrhage. Occurs within a period of 24 h and can be controlled by simple measures such as removal of the clot, application of pressure or vasoconstrictor. Presence of a clot prevents the clipping action of the superior constrictor muscle on the vessels which pass through it (compare postpartum uterine bleeding). If above measures fail, ligation or electrocoagulation of the bleeding vessels can be done under general anaesthesia. 3. Injury to tonsillar pillars, uvula, soft palate, tongue or superior constrictor muscle due to bad surgical technique. 4. Injury to teeth. 5. Aspiration of blood. 6. Facial oedema. Some patients get oedema of the face particularly of the eyelids. 7. Surgical emphysema. Rarely occurs due to injury to superior constrictor muscle. Tracheal stenosis is a late complication. It is due to tracheal ulceration and infection. Ref: Dhingra 7e pg 489.